Amount of cusp reduction recommended to receive a metal-ceramic restoration is
1. 0.75 mm
2. 1 mm
3. 1.5 mm
4. 2.5 mm

Correct answer: 3. 1.5 mm